True statement regarding Atrioventricular block with atrial tachycardia is -
1. Seen in WPW syndrome
2. Is a complication of pacemaker
3. Can occur in normal person occasionally.
4. Seen in Digitalis toxicity with K+ depletion

Correct answer: 4. Seen in Digitalis toxicity with K+ depletion